Spinal anesthesia is given at which of the following levels?
1. Ll-2
2. L2-4
3. Midline of thorax
4. Below L5 (caudal)

Correct answer: 2. L2-4

Explanation: The anesthetic is injected in the mid-lower sub-arachnoid space into the cerebrospinal fluid mostly below the L2 level. Among the given options, L2-L4 is the site for spinal anesthesia. In order to avoid spinal cord injury, this procedure is usually not performed above L2 in adults. Ref: Spinal & epidural anesthesia - By Cynthia A. Wong, Cynthia Wong; Page 33 - 38; A Practical Approach to Regional Anesthesia - By Michael F. Mulroy, Christopher M. Bernards, Susan B. McDonald, Francis V. Salinas.